Which one of the following is true statement regarding Singer's Nodule?
1. It occurs at the junction of anterior 1/3rd & posterior 2/3rd
2. Most common symptom is pain
3. Laser therapy is the treatment of choice
4. Requires excision of nodule as it is potentially malignant

Correct answer: 1. It occurs at the junction of anterior 1/3rd & posterior 2/3rd

Explanation: (A) It occurs at the junction of anterior 1/3rd & posterior 2/3rd[?]Vocal Nodules or Singer's or Screamer's Nodes:Seen symmetrically on free edge of vocal cord, at junction of anterior 1/3rd, posterior 2/3rd, (area of maximum vibration of vocal cord & causes maximum trauma).Vocal nodule size is pin-head to half a pea.Aetiology: Vocal trauma occurs, when person speaks in unnatural low tones for prolonged periods or at high intensities.Singer's nodes mostly affect teachers, actors, vendors or pop singers & also seen in school going children.Pathology: Trauma to vocal cord in form of vocal abuse or misuse causes oedema & haemorrhage in submucosal space & undergoes hyalinisation and fibrosis.Epithelium undergoes hyperplasia and forms a nodule.In early stages, vocal nodules appear soft, reddish & oedematous swellings.In later stages, vocal nodules appear greyish or white in colour.Clinical Features: Hoarseness, vocal fatigue & pain in the neck on prolonged phonation.Treatment of Early Cases: Conservatively by educating proper use of voice.Treatment for large nodules or nodules of long-standing in adults surgery is required by excision with precision under operating microscopic.Prevention of recurrence: Speech therapy & re-education in voice production.MOST COMMON SITE OF LARYNGEAL LESIONSLaryngeal LesionCommonest site*. Laryngeal atresiaSubglottis*. Congenital laryngeal webBetween vocal cords (always in anterior part)*. Congenital syphilis & chronic hypertrophic laryngitisSupraglottis & Glottis*. TuberculosisPosterior part of glottis*. Primary & secondary syphilisAnterior half glottis*. GummaAnywhere*. Lupus vulgarisEpiglottis*. LeprosyEpiglottis & Aryepiglottic folds*. ScleromaSubglottis*. Laryngeal cleftPosterior part*. Congenital true retention cystSupraglottis*. Haemangioma & LymphangiomaSubglottis & vocal cord*. ChondromaCricoid cartilage*. FibromaOver dorsum of vocal cord*. PapillomaFree edge of vocal cord*. Vocal nodulesJunction of anterior 1/3rd with posterior 2/3rd of vocal cord*. Glottic cancerFree edge in upper surface of vocal cords anterior & middle third*. Supraglottic cancerEpiglottis, > false cord > Aryepiglottic folds